The best method of teaching an urban stum about ORS is-
1. Lecture
2. Role play
3. Demonstration
4. Flash cards

Correct answer: 3. Demonstration

Explanation: Ans. is 'c' i.e., Demonstration Demonstrationo A demonstration is a carefully prepared presentation to show how to perform a skill or procedure,o Demonstration as a means of communication has been found to have a high educational value in programmes like- Environmental sanitation - installation of a hand pump, construction of a sanitary latrine.Mother and child health - demonstration of oral rehydration technique.Control of disease, e.g. scabies.